Eichosapentaenoic acid is present in-
1. Soyabean oil
2. Corn oil
3. Safflower oil
4. Fish oil

Correct answer: 4. Fish oil

Explanation: Ans. is `d' i.e., Fish oil